Bright red hypostasis is seen in -a) Dhatura poisoningb) Cyanide poisoningc) Carbon monoxide poisoningd) Aniline poisoninge) Barbiturate
1. a
2. c
3. bc
4. ad

Correct answer: 3. bc